Enamel crystallites are stabilized against acid if fluoride ions replace
1. Phosphate ions
2. Calcium ions
3. Strontium
4. Hydroxylions

Correct answer: 4. Hydroxylions